Resorption in case of ideal orthodontic tooth movement
should be
1. Undermining
2. Frontal
3. Indirect
4. Necrotic

Correct answer: 2. Frontal